MOST common mutation seen in heriditary hemochromatosis is:
1. C282Y
2. H63D
3. TFR2
4. SLC11A3

Correct answer: 1. C282Y

Explanation: The most common mutation in hereditary hemochromatos is a homozygous G to A mutation resulting in a cysteine to tyrosine substitution at position 282 (C282Y). Another relatively common mutation (H63D) results in a substitution of histidine to aspartic acid at codon 63. Mutations like transferrin receptor 2 TFR2 mutation and ferroportin 1 gene, SLC11A3 mutation are rare. Ref: Harrisons principles of internal medicine, 18th edition, Page: 3162